Intervertebral disc is which type of joint -
1. Primary cartilaginous
2. Secondary cartilaginous
3. Pivot
4. Ellipsoid

Correct answer: 2. Secondary cartilaginous

Explanation: Ans. is 'b' i.e., Secondary cartilaginous Cartilaginous joints1) Primary cartilaginous joints (synchondrosis, or hyaline cartilage joint) : These are :-i) Joint between epiphysis and diaphysis of a growing long bone, i.e. physis.ii) Spheno-occipital jointiii) 1st costostemal joint (1st chondrosternal joint)iv) Costochondral joints2) Secondary cartilaginous joints (Symphyses or fibrocartilaginous joints) : These are:-i) Symphysis pubisii) Sacroccygeal jointiii) Manubriostemal jointiv) Intervertebral discv) Symphysis menti